Pressure upon the neck by the arm held around the neck in
1. Garrotting
2. Mugging
3. Bansdola
4. Palmar strangulation

Correct answer: 2. Mugging

Explanation: Mugging ( Arm lock) The term mugging means pressure upon the neck by the arm held around the neck. The attack is usually made from behind, the neck being trapped in the crook of the elbow and pressure exerted when the front and sides of the larynx get squeezed. Death may ensue due to asphyxia or reflex cardiac arrest. Ref: TEXTBOOK OF FORENSIC MEDICINE AND TOXICOLOGY KRISHNAN VIJ FIFTH EDITION PAGE 134